Which of the following is used in Brachytherapy:
1. Rd
2. Id -125
3. Ir
4. All of the above

Correct answer: 4. All of the above

Explanation: Brachytherapy:  Rd, Id – 125, Cs, Ir, Au used.
P-32, Strontium -89, Samarium-153, (NOT iridium -192) are used in systemic radionucluide
P-32 emits B-rays